A patient presented with pentad of symptoms- i.e., kidney stones, painful bones, abdominal groans, psychic moans, and fatigue overtones. The imaging investigation done for him is shown below. What is this investigation
1. Tc 99 m Sestamibi scan
2. Sulphur Colloid Scan
3. MIBG scan
4. VMA scan

Correct answer: 1. Tc 99 m Sestamibi scan

Explanation: Ans. (a) Tc 99m Sestamibi scan* Scan used to localise the Parathyroid adenoma is Sestamibi scan.* This image shows Ectopic parathyroid adenoma in mediastinum